Which of the following is NOT a prodrug
1. Enalapril
2. Sulphasalazine
3. Imipramine
4. Cyclophosphamide

Correct answer: 3. Imipramine

Explanation: Activation of inactive drug:- Few drugs are inactive as such and need conversion in the body to one or more active metabolites. Such a drug is called a prodrug. The prodrug may offer advantages over the active form in being more stable, having better bioavailability, less side effects and toxicity. Ref:- kd tripathi; pg num:-22,23